Enzyme activity is expressed as:
1. Millimoles/lit
2. Mg/lit
3. Mg/dl
4. Micromoles/min

Correct answer: 4. Micromoles/min

Explanation: Ans: D (Micromoles/min) Enzme activity is expressed as micromoles of substrate converted to product per minute^ under optical condition of measurement. One standard unit {or international unit) of enzyme activity (U) is that activity which catalyses transformation of 1 micromole of substrate per minute.Modern method of enzyme activity is in katals (Kat)1 Kat=Conversion of 1 mole of substrate per second.